MI are true about SALK vaccine except-
1. OPV cannot be given as booster dose
2. Injections during epidemic can cause paralysis
3. Induces circulating antibody but no local immunity
4. Does not prevent multiplication of wild virus in gut

Correct answer: 1. OPV cannot be given as booster dose

Explanation: Ans. is 'a' i.e., OPV cannot be given as booster dose One or two doses of live vaccine (OPV) can be given safely as boosters after an initial course of immunization with inactivated vaccine.